Linitus plastic
1. Borrmann class I
2. Borrmann class II
3. Borrmann class III
4. Borrmann class IV

Correct answer: 4. Borrmann class IV

Explanation: Borrmann 1-single polypoidal carcinoma, Borrmann 2- ulcerated carcinoma with clear-cut margin, Borrmann 3-ulcerated carcinoma without clear-cut margin, Borrmann 4- diffuse carcinoma - linitis plastica. Reference ,SRB edition : 5 page:847